Algor mortis is:
1. Cadaveric spasm
2. Hypostasis
3. Cooling of body
4. Rigor mortis

Correct answer: 3. Cooling of body

Explanation: Ans. Cooling of body